All of the following statements are true about tumour markers except
1. screening of a cancer
2. follow up of a cancer patient
3. confirmation of cancer
4. for knowing about recurrence

Correct answer: 3. confirmation of cancer